Level of hyoid bone is at
1. C3
2. C4
3. C5
4. C7

Correct answer: 1. C3

Explanation: Vertebral level of various structures in the neck:
Hyoid bone - C3
Upper border and notch of thyroid cartilage - C3/C4
Thyroid cartilage - C4-05
Cricoid cartilage - C6
Suprasternal notch - T2/T3